Primary atypical pneumonia is caused by
1. Legionella
2. Streptococcus
3. Mycoplasma
4. Listeria

Correct answer: 3. Mycoplasma

Explanation: Ans. c (Mycoplasma). (Textbook of Microbiology by Anantanarayan 6th/365)MYCOPLASMA# Bacteria devoid of cell walls# Highly pleomorphic# Eaton agent# Pleuropneumonia like organisms. Smallest free living micro-organisms.# Do not produce spores, flagella or fibria.# Gliding motility present.# 'Fried egg' appearance of colonies positive.# Colonies best studied by staining with Diene's method.# Cold agglutination test (streptococcus MG).# Pathogenicity- M. pneumonia -Primary atypical pneumonia.- Ureaplasma urealyticum and M.hominis -genital infection# Treatment--tetracycline & erythromycin.